Women with Plummer Vinson develops which cancer ?
1. Pyriform fossa
2. Esophagus
3. Subglottis
4. Epiglottis

Correct answer: 2. Esophagus